Which of the following is not true about Porphyria cutanea tarda (PCT)?
1. Is the least common type of human porphyria
2. Decreased activity of the enzyme uroporphyrinogen decarboxylase
3. Prior hepatitis C virus infection appears to be an independent risk factor
4. Treatment of PCT consists of repeated phlebotomies

Correct answer: 1. Is the least common type of human porphyria

Explanation: Porphyria cutanea tarda is the most common type of human porphyria and is associated with decreased activity of the enzyme uroporphyrinogen decarboxylase associated with a number of gene mutations.